A 32 year old male patient complains of swelling in left maxillary region with heaviness in the maxillary sinus following tooth extraction of maxillary first molar. Patient gives a history of tooth extraction one week before with transalveolar type of extraction.

Considering the heaviness in the operated site of the maxillary region the use of mucolytics helps in
1. Reducing the stasis of mucus
2. Reduces the growth of gram negative bacteria
3. Brings about aeration in the maxillary sinus
4. All of the above

Correct answer: 4. All of the above